Most common complication of chicken-pox -
1. Bacterial infection
2. Meningitis
3. Pneumonia
4. Nephritis

Correct answer: 1. Bacterial infection

Explanation: Ans. is 'a' i.e., Bacterial infection Complications of chicken pox The most common infectious complication of varicella is secondary bacterial superinfection of the skin, which is usually caused by streptococcus pyogenes or Staphylococcus aureus. The most common extracutaneous site of involvement in children is CNS. Varicella pneumonia is the most serious complication following chickenpox in adults.